A patient is having thick, gray coating on the throat and tonsils, followed with fever, chills and swollen glands in the neck. Microscopic examination of nasopharyngeal or pharyngeal swab showed gram positive organism with a special stain. The constitutes of the stain are:-
1. Crystal violet. Gram's iodine
2. Toluidine blue, malachite green, glacial acetic
3. Carbol fuchsin, acid alcohol, and methylene blue
4. Methylene blue

Correct answer: 2. Toluidine blue, malachite green, glacial acetic

Explanation: Gram positive organism causing gray colored coating (pseudomembrane) is Corynebacterium diphtheriae . So the specific stain is Albert stain. Contents of Albert stain:-Stain A- glacial acetic acid, malachite green ,toluidine blueStain B- KI + I2